A 61 year old Purushothom presented to the OPD with complaints of dyspnoea, chest pain and syncope. What is he most likely suffering from?
1. MS
2. AS
3. MR
4. TR

Correct answer: 2. AS

Explanation: This patient is suffering from aortic stenosis, which usually manifests during 6th to 8th decade of life. Three cardinal symptoms of aortic stenosis are exertional dyspnea, angina pectoris and synchope. Patients with aortic stenosis become symptomatic when the valvular orifice is narrowed to approximately 1cm2. Reference: Harriosn's Principles of Internal Medicine 18th edition chapter 237.